The following factors contribute to hypothermia in preterm babies except
1. Decreased subcutaneous fat and brown fat
2. Large surface area in relation to body weight
3. Less oxygen consumption
4. Increased muscular activity

Correct answer: 4. Increased muscular activity

Explanation: Increased muscular activity generates heat. Increased physical activity(crying, increased body movements) is a compensatory mechanism to generate heat in a neonate on exposure to cold and wet environment. Reference : page 143 Ghai Essential Pediatrics 8th edition